At what age the ratio of the ICF to ECF volume approaches adult levels?
1. 14 days
2. 4 weeks
3. 6 months
4. 1 year

Correct answer: 4. 1 year

Explanation: By 1 year of age, the ratio of the ICF to ECF volume approaches adult levels.